While using axillary crutches, elbow should be flexed to:
1. 10 degrees
2. 20 degrees
3. 30 degrees
4. 40 degrees

Correct answer: 3. 30 degrees

Explanation: Ans. C i.e. 30 Axilary crutches/ Underarm crutches measurement The measurement prescription for axillary crutches is determined in the following manner: - With the patient standing, determine the crutch length by measuring the distance from the anterior axillary fold to a point 6 inches lateral to the fifth toe. - With the proper crutch length determined and the crutch then placed 3 inches lateral to the foot, proper handpiece location can be measured. - The patient's elbow should be flexed 30deg, the wrist should be in maximal extension, and the fingers should be held in a fist. - The patient should be able to raise his/her body 1-2 inches by performing complete elbow extension.